The most important constituent in soda lime for reabsorption of CO2 in a closed circuit is:
1. Sodium hydroxide
2. Barium hydroxide
3. Calcium hydroxide
4. Potassium hydroxide

Correct answer: 3. Calcium hydroxide

Explanation: Ans. c. Calcium hydroxide